Most common radiosensitive ovarian tumour ?
1. Dysgerminoma
2. Granulosa cell tumour
3. Teratoma
4. Theca cell tumour

Correct answer: 1. Dysgerminoma

Explanation: Ans. is 'a' i.e., Dysgerminomao Dysgerminomas are extremely radiosensitive, and even those that have extended beyond the ovary can generally be controlled by radiotherapy.